Temporary hardness of water is primarily due to the presence of
1. Calcium and magnesium sulphates
2. Calcium and magnesium chlorides
3. Calcium and magnesium bicarbonates
4. Calcium and magnesium nitrates

Correct answer: 3. Calcium and magnesium bicarbonates

Explanation: Temporary hardness (Carbonate hardness) due to Calcium & Magnesium salts of Bicarbonates.